The most common fetal response to acute hypoxia is?
1. Tachycardia
2. Tachypnea
3. Bradycardia
4. Arrhythmia

Correct answer: 3. Bradycardia

Explanation: Ans. is 'c' i.e., Bradycardia The initial response of the normal fetus to acute hypoxia or asphyxia is bradycardia results from chemoreceptor stimulation of vagal nerve.